Tinea incognito is seen with:
1. Steroid treatment
2. 1% BHi3
3. 5% permethrin
4. Antibiotics

Correct answer: 1. Steroid treatment

Explanation: A i.e. Steroid treatment Tinea incognito is extensive ring worm infection with atypical appearance due to inappropriate use of steroids.Q